PERT is a type of:-
1. Input output analysis
2. System analysis
3. Network analysis
4. Research technique

Correct answer: 3. Network analysis

Explanation: - PERT is a type of Network analysis Management Methods & Techniques: Based on principles of behavioral sciences + quantitative methods. Quantitative Methods: Derived from economics, operation research & budgeting Role in Mx of health services. Network Analysis Graphic plan of all events , activities to be completed, to reach an end objective. Greater discipline in planning. Types (a) PERT ; (b) CPM. a. PERT sequence of activities in a health programme to plan , schedule , monitor & furnish tamely Reports b. CPM - Critical pathway method (longest path) Systems Analysis Comparision of 2/more cost- effective alternatives in a health program Helps decision maker, to choose an appropriate course of action by investigating problem, searching/evaluating objectives, finding alternative solutions & evaluating them in terms of cost-effectiveness. Input-Output Analysis: It is an economic technique. 'Input' refers to all health service activities which consume resources (manpower, money, materials & time). 'output' refers to such useful outcomes as cases treated, lives saved or inoculations performed. Model Cost-Benefit analysis Output of health program is in monetory terms Cost-Effective analysis Output is in terms of results achieved Cost-Accounting analysis Provide some basic data on cost structure of a health program Planning-Programming-Budgeting System (PPBS) Allocation of resources to achieve objects in most effective way Work sampling Systematic observation & recording activities of 1/more individuals,done at predetermined / random intervals providing quantitative measurement of various activities. Decision making